Which of the following is true regarding seminoma?
1. 40% cases occurs in children <1 year of age
2. Alpha fetoprotein can be used as a marker
3. Dysgerminoma is its ovarian counterpart
4. All of the above statements are true

Correct answer: 3. Dysgerminoma is its ovarian counterpart

Explanation: Seminoma is very rare in infants. Alpha fetoprotein is not raised in seminoma.